Amongst the following, which is the rarest opportunistic fungal infection seen in AIDS patient:
1. Cryptococcosis
2. Candidiasis
3. Histoplasmosis
4. Aspergillosis

Correct answer: 4. Aspergillosis

Explanation: Ans. D: Aspergillosis The commonly encountered fungal infections in HIV-positive patients are candidosis, cryptococcosis and histoplasmosis. Other fungal infections like coccidiodomycosis and Penicilliosis marneffei are seen usually in geographically restricted areas.